Incest is defined as sexual intercourse between -
1. Man and animals
2. Man and closely related women
3. Man and women other than wife
4. Man and man

Correct answer: 2. Man and closely related women

Explanation: Ans. is 'b' i.e., Man and closely related womenIncesto It means sexual intercourse by a man with a woman who is closely related to him by blood (prohibited degrees of relationship).Example daughter, granddaughter, sister, stepsister, aunt, or mother,o These cases usually have psychological features,o In India, incest is not an offence.Adulteryo Adultery refers to volutary sexual intercourse between a married person and a person (married or not), other than his/her spouse.Bestialityo It is the sexual intercourse by a human being with a lower animal.Tribadism (Lesbianism or female homosexuality)o Sexual gratification of a women obtained by another woman by kissing, body contact, manipulation of breast and genitalia. Active partner is called dyke or butch and the passive agent is called femme. This is not an offence in India.